In which of the following conditions, neurons are exclusively affected -
1. Spinocerebellar ataxia
2. Supranuclear palsy
3. Corticobasal degeneration
4. Multisystem Atrophy

Correct answer: 1. Spinocerebellar ataxia